Cottle test is positive in case of ?
1. Deviated Nasal septum
2. Rhinosporidiosis
3. Hypertrophied inferior nasal turbinate
4. Atrophic rhinitis

Correct answer: 1. Deviated Nasal septum

Explanation: Ans. is 'a' i.e., Deviated Nasal Septum Cottle test : It is used to test nasal obstruction due to abnormality of nasal valve as in case of deviated nasal septum. In this test, cheek is drawn laterally while the patient breathes quietly. If the nasal airway improves on the test side, the test is positive, and indicates abnormality of the vestibular component of nasal valve.